The drug of choice for prophylaxis of motion sickness is:-
1. Promethazine
2. Ondansetron
3. Metoclopramide
4. Domperidone

Correct answer: 1. Promethazine

Explanation: (Best Drug)Doc for prophylaxis of motion sickness - Hyoscine (scopolamine) If hyoscine is not given in the option, then the answer would be first generation Antihistaminics. First generation Antihistaminics can cross the blood brain barrier and also have strong Anti-cholinergic properties. First generation Antihistaminics - Promethazine